Predictive value of a positive test is defined as ?
1. True + ve/true + ye + false - ye x 1 00
2. True + ye/true + ye + false + ye x 100
3. False + ve/true + ve + false + vex 100
4. False + ve/true + ve + false - vex 100

Correct answer: 2. True + ye/true + ye + false + ye x 100

Explanation: Ans. is `b' i.e., True + ye (true + ye + false + ye) x 100